Which of the following is not a cause of acute pancreatitis ?
1. Hypercalcemia
2. Thrombotic thrombocytopenic purpura
3. Cystic fibrosis
4. Magnetic resonance cholangiopancreatography (MRCP)

Correct answer: 4. Magnetic resonance cholangiopancreatography (MRCP)

Explanation: Ans. is 'd' i.e., Magnetic resonance cholangiopancreatography (MRCP) Causes of Acute Pancreatitis Common causes Gallstones (including microlithiasis) - most common Hypertriglyceridemia Endoscopic retrograde cholangiopancreatography (ERCP), especially after biliary manometry. Trauma (especially blunt abdominal trauma) Postooperative (abdominal and nonabdominal operation) Drugs (L-asparginase, thiazide diuretics, frusomide, estrogens, azathioprime, 6-mercaptopurine, methyldopa, sulfonamide, tetracyclin, valproic acid, anti-HIV medicacations) Sphincter of Oddi dysfunction Uncommon causes Vascular causes and vasculitis (ischemic-hypoperfusion states after cardiac surgery) Connective tissue disorders and thrombotic thrombocytopenic purpura (TTP) Cancer of the pancreas Hypercalcemia Periampullary diverticulum Pancreas divisum Hereditary pancreatitis Cystic fibrosis Renal failure